Brain abscess may be due to following?
1. Chronic suppurative otitis media
2. Chronic lung abscess
3. Trauma
4. Any of the above

Correct answer: 4. Any of the above

Explanation: Ans. is 'd' i.e., Any of the above